Sclera is thinnest :
1. At the limbus
2. Under insertion of recti
3. Anterior to attachment of rectus
4. At the equator

Correct answer: 2. Under insertion of recti

Explanation: - Sclera is thinnest posterior to rectus muscle insertions (0.3 mm) - Posterior 5/6th of the outer fibrous coat of eye forms the sclera - It is white / opaque in colour due to haphazardous arrangement of collagen in it . - Anterior 1/6th of the outer fibrous coat is transparent due to regular arrangement of collagen, known as Cornea - Corneo-Scleral Junction - Limbus - Outer surface of sclera is covered by conjunctiva, beneath that is a layer of loose connective tissue called episclera. - Innermost layer of sclera consists of elastic fibres called lamina fusca. - Lining inner aspect of sclera are- highly vascular uveal tract concerned chiefly with nutrition of eye & true visual nerve endings concerned with reception & transformation of light stimuli, called retina - Deficient part of sclera is lamina cribrosa which is pierced by axons forming the optic nerve as they traverse from optic nerve head (optic disc) posteriorly